Which of the Hepatitis B Virus serological marker indicates the first evidence of Hepatitis B infection?
1. Anti-HBs
2. Anti-HBc
3. HBeAg
4. HBsAg

Correct answer: 4. HBsAg